Which is a live vaccine:
1. BCG
2. Salk
3. DPT
4. Tetanus toxoid

Correct answer: 1. BCG

Explanation: BCG